Most common type of carcinoma lung is ?
1. Small cell carcinoma
2. Adenocarcinoma
3. Squamous cell carcinoma
4. Large cell carcinoma

Correct answer: 2. Adenocarcinoma

Explanation: Ans. is 'b' i.e., Adenocarcinoma Lung Carcinoma o Carcinoma of lung is the most common neoplasm of lung, i.e. cancer arising from the epithelial cells. o Lung cancer is the most common cause of cancer related death. o Occurs most often between ages 40 and 70 years. o The major histological types of lung carcinoma are - (i) Adenocarcina (including bronchoalveolar type) --> Most common lung cancer world wide. (ii) Squamous cell carcinoma --> Most common lung cancer in India. (iii) Small cell carcinoma (Oat cell carcinoma). (iv) Large cell carcinoma These tumors can be divided broadly into two groups ? Small cell carcinoma Non-small cell carcinoma --> Squamous cell carcinoma, adenocarcinoma, Large cell carcinoma.